Which of the following produces bile stained eggs ?
1. Ankylostoma duodenale
2. Taenia solium
3. Enterobius vermicularis
4. Necator americanus

Correct answer: 2. Taenia solium